In which position is the X rays for minimal right sided pleural effusion done?
1. Left lateral decubitus
2. Right lateral decubitus
3. Erect chest xray AP view
4. PA view

Correct answer: 2. Right lateral decubitus

Explanation: ANSWER: (B) Right lateral decubitusREF: Wofgang 5th ed p. 428-430Ipsilateral lateral decubitus leads to collection of even minimal fluid in lateral pleural recess; hence it is the view of choice